4 components of RCH elaborated ?
1. Prevention of STD
2. Family planning
3. Child survival
4. All

Correct answer: 4. All

Explanation: Ans. is *d' i.e., All